Putrefaction is
1. Perimortem sign of death
2. Immediate sign of death
3. Early sign of death
4. Late sign of death

Correct answer: 4. Late sign of death

Explanation: CHANGES AFTER DEATH 1.Immediate changes a) cessation of respiration b) cessation of circulation c) insensibility d) loss of voluntary power e) dilatation of pupil 2. Early changes a) primary flaccidity of muscles b) algor mortis c) livor mortis d) rigor mortis e) retinal changes and changes in vitreous humor. 3. Late changes a) putrefaction b) adipocere formation c) mummification Ref: FORENSIC MEDICINE AND TOXICOLOGY DR PC IGNATIUS THIRD EDITION PAGE 19